CD8 is a marker for which of the following cell?
1. T-cell
2. B-cell
3. NK-cells
4. Macrophages

Correct answer: 1. T-cell

Explanation: Ans. is 'a' i.e., T-cells Important cells with their CD marker are* Primary T cell Associated* CD1, CD3, CD4, CD5, CD8* Primary B cell associated* CD10, CD19, CD20, CD21, CD23, CD79a* Primary monocyte or macrophage associated* CD11c. CD13, CD14, CD15, CD33, CD64* Primary NK cell associated* CD16.CD56* Primary stem cell and progenitor cell associated* CD34* Activation markers* CD30* Present on all leukocytes* CD45